During which stage of development does maximum growth spurt occur in females ?
1. Tanner breast stage I, Axillary stage I
2. Tanner breast stage II, Axillary stage II
3. Tanner breast stage III, Axillary stage III
4. Tanner breast stage IV, Axillary stage IV

Correct answer: 3. Tanner breast stage III, Axillary stage III

Explanation: FOR GIRLS peak height growth:breast stage III and axillary hair stage III. FOR BOYS peak height growth: genitalia (testes and penis) stage IV and axillary hair stage IV. In girls, the breast bud (Thelarche) is usually the first sign of puberty (10-11 yr), followed by the appearance of pubic hair 6-12 months later. The interval to menarche is usually 2-2.5 yr but may be as long as 6 yr. Peak height velocity occurs early (at breast stage II--III, typically between 11 and 12 yr of age) in girls and always precedes menarche.